Which of the following therapy is known to stimulate progenitor megakaryocytes and used in Rx of Cancer Chemotherapy-Induced Thrombocytopenia?
1. IL-2
2. IL-6
3. IL-8
4. IL-11

Correct answer: 4. IL-11

Explanation: IL-11 (oprelvekin) is approved for use in the setting of expected thrombocytopenia, but its effects on platelet counts are small, and it is associated with side effects such as headache, fever, malaise, syncope, cardiac arrhythmias, and fluid retention.